Central T2 hypo intensity is a characteristic imaging feature of?
1. Neurocysticercosis
2. Tuberculous granuloma with solid center
3. Tuberculous granuloma with liquefied center
4. Tubercular abscess

Correct answer: 2. Tuberculous granuloma with solid center

Explanation: Ans BCentral T2/FLAIR hypointensity is a characteristic feature of CNS tuberculoma with solid centre and caseation. lt will show ring enhancement on post contrast images. As the centre becomes liquified - it appears hyperintense on T2Wimages (as fluid is hyperintense on T2W images)